Pseudohermaphroditism in a female child is most commonly due to –
1. 21–hydroxylase deficiency
2. 17–hydroxylase deficiency
3. 11–hydroxylase deficiency
4. 3–hydroxylase deficiency

Correct answer: 1. 21–hydroxylase deficiency

Explanation: Classic 21-hydroxylase deficiency is the most common cause of Ambiguous genitalia in a newborn.
Virilization is usually apparent at birth in females i.e Pseudohermaphroditism of a female child.